Cell organelle affected in Wolman’s Disease is
1. Peroxisome
2. Lysosome
3. Liposome
4. Dyctyosome

Correct answer: 2. Lysosome

Explanation: Characteristics of Lysosomes

Discovered by Christian de Duve
Contains acid hydrolases,acid lipases,collagenase
ATP-dependent proton pumps in the membrane maintain an acidic environment (pH 4.0–5.0)

Lysosomal Diseases
Tay-Sachs disease
Hexosamidase A
Gaucher’s disease
Beta galactocerebrosidase
I-cell disease
Absent mannose-6-phosphate tag